DT 104 strain is belongs to which of the following bacteria-
1. Salmonella Gallinarum
2. Salmonella Typhi
3. Salmonella Enteritidis
4. Salmonella Typhimurium

Correct answer: 4. Salmonella Typhimurium

Explanation: Ans. is `e' i.e., Salmonella Typhimurium DT 104 is a strain of Salmonella Typhimurium which emerged in early 1990s. It is multidrug resistant strain & associated with an increased risk of bloodstream infection and hospitalization. Acquisition is associated with exposure to ill farm animals and to various meat products, including uncooked or undercooked ground beef.